Microdermasion is done with:
1. Aluminium oxide crystals
2. Aluminium trihydrate crystals
3. Ferrous oxide crystals
4. Ferric oxide crystals

Correct answer: 1. Aluminium oxide crystals

Explanation: Microdermabrasion is resurfacing technique with superficial skin wound achieved with aluminium oxide crystals. Ref: Textbook of dermatosurgery & cosmetology, Satish S savant, E-2, P-620.